Hormone responsible for ferning pattern of cervical mucus:
1. Progesterone
2. Estrogen
3. LH
4. Prolactin

Correct answer: 2. Estrogen

Explanation: Ans. B: Estrogen An enzyme called plasmin contained in the endometrium tends to inhibit the blood from clotting. Follicular Phase Through the influence of a rise in (FSH), five to seven tertiary-stage ovarian follicles are recruited for entry into the next menstrual cycle. One (or occasionally two) dominant follicles will continue to maturity and secrete increasing amounts of estradiol which initiate the formation of a new layer of endometrium in the uterus, histologically identified as the proliferative endometrium Ovulation When the egg has matured, it secretes enough estradiol to trigger the acute release of (LH). In the average cycle this LH surge starts around cycle 12th day and may last 48 hours and leads to ovulation. At the time of ovulation, the cervical mucus is thin and has the property of great elasticity and this is called spinnbarkeiti thread test under estrogenic activity. When viewed under the microscope, the mucus shows characteristic pattern of fern formation, which is due to presence of sodium chloride in the mucus secreted under estrogenic effect. Luteal phase After ovulation, the residual follicle transforms into the corpus luteum. This corpus luteum will produce Progesterone in addition to estrogens for approximately the next 2 weeks. Progesterone plays a vital role in converting the proliferative endometrium into a secretory lining receptive for implantation and supportive of the early pregnancy. It raises the body temperature. Hormonal control Gonadal Estradiol peaks twice, during follicular growth and during the luteal phase. Progesterone remains virtually absent prior to ovulation, but becomes critical in the luteal phase and during pregnancy. Many tests for ovulation check for the presence of progesterone. After ovulation the corpus luteum which develops from the burst follicle and remains in the ovary secretes both estradiol and progesterone. Hypothalamus and pituitary These sex hormones come under the influence of the pituitary gland, and both FSH and LH play necessary roles: FSH stimulates immature follicles in the ovaries to grow. LH triggers ovulation. The Gonadotropin releasing hormone of the hypothalamus controls the pituitary, yet both the pituitary and the hypothalamus receive feedback from the follicle.